'Safety officers' have to be appointed in factories when no. of workers more than -
1. 500
2. 1000
3. 2000
4. 5000

Correct answer: 2. 1000

Explanation: The factories Act, 1948: Health, Safety and Welfare recommendation: A minimum of 500 cubic feet space per worker 1 safety officer per 100 wrokers 1 welfare officer per 500 workers 1 Canteen for greater than 250 workers 1 Creche for greater than 30 women workers Ref: Park 25th edition Pgno: 852